Which of the following is not a pharmacological property of Repaglinide?
1. Insulin Secretagogues
2. Reduces insulin resistance
3. Causes less hypoglycemia than sulfonylureas
4. Effectively reduced postprandial hyperglycemia

Correct answer: 2. Reduces insulin resistance

Explanation: Repaglinide: the first member of the group, was approved for clinical use in 1998. These drugs modulate B cell insulin release by regula ng potassium efflux through the potassium channels. It should be taken just before each meal in doses of 0.25-4 mg; hypoglycemia is a risk if the meal is delayed or skipped or contains inadequate carbohydrate.